Increased gestational period is associated with following congenital anomaly :
1. Spina bifida
2. Anencephaly
3. Meningomyelocele
4. Omphalocele

Correct answer: 2. Anencephaly

Explanation: Anencephaly